MRI is the investigation of choice in all of the following except:
1. Syringomyelia
2. Brain stem tumors
3. Skull bone tumors
4. Multiple sclerosis

Correct answer: 3. Skull bone tumors

Explanation: Ans. (c) Skull bone tumors* MRI is best for soft tissue tumors* CT is best for Bone tumors* Imaging modality of choice to detect cerebral necrosis - PET scan.* IOC for Leptomeningeal Carcinomatosis-Gadolinium enhanced MRI